A patient with HIV has diarrhoea with AFB (+)ve organism in stool. The most likely organism is ?
1. Mycobacterium avium intracellulare
2. Mycobacterium TB
3. Mycobacterium leprae
4. Mycoplasma

Correct answer: 1. Mycobacterium avium intracellulare

Explanation: Ans. is 'a' i.e., Mycobacterium avium intracellulare . MAC infection is a late complication of HIV infection, occurs when CD4 < 50/ml, in contrast to T.B. which occurs early even with CD4>300/m1 . Clinical features - Disseminated disease with fever, weight loss and night sweats (most common) - Abdominal pain - Diarrhoea - Lymphadenopathy . Diagnosis is made by demonstration of AFB positive mycobacteria in sputum, stool, blood or bone narrow.